Most common tumor in the posterior mediastinum is
1. Neurofibroma
2. Teratoma
3. Lymphoma
4. Bronchogenic cyst

Correct answer: 1. Neurofibroma

Explanation: Most common tumour of posterior mediastinum is neurofibromas constituting 75% of the total.Others include ganglioneuromas,aneurysm of descending aorta,lymph node mass. Reference: SRB's manual of surgery,5th edition,page no:1126.